Which part of the lens contains the oldest cells?
1. Nucleus
2. Anterior surface of lens
3. Posterior surface of lens
4. Nucleo-cortical junction

Correct answer: 1. Nucleus

Explanation: The lens is a biconvex avascular structure suspended by thin filamentous zonules attached to the ciliary process between the iris anteriorly and vitreous humor posteriorly. The nucleus which is the innermost part of the lens contains the oldest cells. Newly laid fibers crowd and compact around previous fibers. The outermost fibers constituting the lens cortex are the most recently formed fibers. In lens fibers aerobic metabolism is absent. The region between the epithelial monolayer and the nucleus is the cortex which is relatively younger and apart from epithelium the most metabolically active region of the lens. Ref: Manual of Ocular Diagnosis and Therapy edited by Deborah Pavan-Langston page 152. Redox-Genome Interactions in Health and Disease edited by Jurgen Fuchs, page 339.